In which of the following tissues , is glycogen incapable of contributing directly to blood glucose
1. Liver
2. Muscles
3. Both
4. None

Correct answer: 2. Muscles